Which of the following physical signs is seen in a patient with severe aortic stenosis
1. Opening snap
2. Diastolic rumble
3. Holosystolic murmur
4. Delayed peak of systolic murmur

Correct answer: 4. Delayed peak of systolic murmur

Explanation: The murmur of AS is characteristically an ejection (mid) systolic murmur that commences shortly after the S 1 , increases in intensity to reach a peak toward the middle of ejection, and ends just before aortic valve closure . It is characteristically low-pitched, rough and rasping in character, and loudest at the base of the heart, most commonly in the second right intercostal space. It is transmitted upward along the carotid arteries. Occasionally it is transmitted downward and to the apex, where it may be confused with the systolic murmur of MR (Gallavardin effect). ( Harrison's principle of internal medicine,18th edition,pg no.1939 )